True statement about fibrous cartilage is
1. This is the strongest kind of cartilage.
2. It is made of alternating layers of hyaline cartilage matrix and thick layers of dense collagen fibers oriented in the direction of functional stresses
3. It does not have perichondrium as it is usually a transitional layer between hyaline cartilage and tendon or ligament
4. All of the above

Correct answer: 4. All of the above

Explanation: all these statements are true for fibrous cartilage.